The cellular component of protein synthesis is :
1. Smooth endoplasmic reticulum
2. Rough endoplasmic reticulum
3. Ribosomes
4. Mitochondria

Correct answer: 3. Ribosomes

Explanation: Ribosomes >> Rough endoplasmic reticulum Rough ER is that ER on which ribosomes are attached and protein synthesis occurs in ribosomes. So, best answer here is 3. Fig.: Free ribosomes present in cytoplasm (not attached to ER) Fig.: Ribosomes attached to cytosolic side of ER BUT SER is responsible for the synthesis of lipids, in detoxification and Ca sequestration & release.